Chemotherapy for choriocarcinoma. DOC is-
1. Methotrexate
2. Cyclophosphamide
3. Cisplatin
4. Doxorubicin

Correct answer: 1. Methotrexate

Explanation: Ans. is 'a' i.e., Methotrexate Chemotherapy in molar pregnancyIndicationso If the hCG level fails to become normal in stipulated time (10-12 weeks) or re-elevates after 4-8 weeks.o Rising ji-hCG level, once it reached normal,o Post evacuation haemorrhageo Where followr up facilities are not adequateo Evidence of metastasis irrespective of hCG levelso Risk of malignancy is highChemotherapyo Methotrexate 1 mg'kgday is given iv or im on day 1,3,5 & 7 with folinic acid . 1 mg/kg on days 2,4,6 & 8. It is to be repeated every 7 days. A total of 3 courses are given,o Alternatively, intravenous actinomycin-D 12 mcg/kg/day is given for 5 days. It is less toxic.